Croup syndrome is usually caused by –a)  Rhinovirusesb)  Coxsackie A virusc) Coxsackie B virusd) Para influenza
1. b
2. c
3. ac
4. ad

Correct answer: 4. ad

Explanation: Croup (Laryngotracheobronchitis)

Croup is a viral infection of the upper respiratory tract.
Children between the age of 1-5 years are affected.

Causative organisms → Parainfluenza type I, RSV, Influenza, Adenovirus, Rhinovirus